Best treatment of refractory peri-anal fistula in crohn's disease:-
1. Fistulectomy
2. Infliximab
3. Olasalizine
4. Mesalamine

Correct answer: 2. Infliximab

Explanation: Infliximab is effective in CD patients with refractory perianal and enterocutaneous fistulas, with 68% response rate (50% reduction in fistula drainage) and a 50% complete remission rate. Reinfusion, typically every 8 weeks, is necessary to continue therapeutic benefits in many patients.